Which of the following is false about Coronaviruses?
1. These viruses have club-shaped peplomers on their surface
2. SARS spreads mainly by inhalation
3. SARS virus is highly mutable
4. It doesn't spread through coughing, sneezing or direct contact

Correct answer: 4. It doesn't spread through coughing, sneezing or direct contact

Explanation: Corona virus spreads through coughing, sneezing and close personal contact such as touching mouth, nose Coronaviruses are a group of spherical or pleomorphic enveloped RNA viruses having club or petal shaped peplomers. Coronaviruses are named for the crown-like spikes on their surface. Coronaviruses cause cold, severe acute respiratory syndrome (SARS) and Middle eastern respiratory syndrome (MERS). They spread by inhalation of the virus present in droplets or aerosols of respiratory secretions of the patients. The virus is highly mutable and so vaccine prophylaxis is difficult. Basic protective measures against the new coronavirus: (SARS CoV 2) Wash your hands frequently for atleast 20 seconds. Maintain social distancing- Maintain at least 1 metre distance e distance between yourself and anyone who is coughing or sneezing Avoid touching eyes, nose and mouth Practice respiratory hygiene- cover your mouth and nose with your bent elbow or tissue when you cough or sneeze, then dispose of the used tissue immediately. If you have fever, cough and difficulty breathing, seek medical care early Stay informed and follow advice given by your healthcare provider Reference: Ananthanarayan and Paniker's Textbook of Microbiology Tenth edition